What is the most common presentation of anterior wall cervical fibroid
1. Abdominal lump
2. Urinary retention
3. Per vaginal bleeding
4. Constipation

Correct answer: 2. Urinary retention

Explanation: Ans. B. Urinary retentionUterine fibroids/leiomyomas/myomasThey are benign (non-cancerous) growths that more than thirty per cent of female's experience.Types of Fibroids:Fibroids are a combination of muscle and fibrous tissue and grow on the wall of the uterus. Intra cavity fibroids are inside the uterus while submucous fibroids are partially inside the wall of the uterus and partially inside the uterus.Intramural fibroids on in the uteri inside wall and subserous myomas are on the outside walls. A pedunculated fibroid is a subserous fibroid connected to the uterus by a kind of a "stalk."Neprinol removes severe protein polymerization and oxidation from the blood restoring normal values.Cervical fibroids:Cervical fibroids are relatively uncommon, accounting for 2% of uterine leiomyomata. They arise in the cervix and are usually single.Cervical leiomyomata tend to distort and elongate the cervical canal and push the uterus upwards. Large tumors may cause elongation and distortion of the urethra, resulting in urinary retention.